Free radical scavanging system enzyme is
1. NADPH oxidase
2. Glutathione peroxidase
3. Endonuclease
4. Phospholipase

Correct answer: 2. Glutathione peroxidase

Explanation: Answer-B. Glutathione peroxidaseAntioxidant mechanisms1. Non-enzymatic systemAntioxidants (Vit E , Vit A, Vit C, glutathione and Cysteine)Tissue proteins (transferrin, ferritin, laetofeftifl, and ceruloplasmin).2. Enzymatic systemCatalaseSupuoxide damutase (SOD)3. Glutathione peroxidasePresent in mitochondria & cytosol.It catalyzes free radical breakdown.H2O2 + 2 G S H - G S S G + 2 H2O2OH + 2 G S H - G S S G + 2H2O